The graft with the maximum osteogenic potential is:
1. Allogaft
2. xenograft
3. Autocortical
4. autocancellus

Correct answer: 4. autocancellus